Function of hepatic kupffer cells is:
1. Formation of sinusoids
2. Vitamin-A storage
3. Increases blood perfusion
4. Phagocytosis

Correct answer: 4. Phagocytosis